The most common site for amoebiasis is:
1. Sigmoid colon
2. Transverse colon
3. Caecum
4. Liver

Correct answer: 3. Caecum

Explanation: Amoebiasis: - MC site involved is caecum & ascending colon. - Caused by Entamoeba histolytica. - Dysentery develops when amoeba attach to colonic epithelium, induce apoptosis, invade crypts & burrow laterally into lamina propria. - This recruits neutrophils, causes tissue damage, & create a flask-shaped ulcer with narrow neck & broad base.